Kawasaki disease is characterized by all EXCEPT
1. Cervical lymphadenopathy
2. Bilateral conjunctivitis
3. Rash
4. Bald tongue

Correct answer: 4. Bald tongue

Explanation: (Bald tongue): (1113- Davidson 21st edition; 416- H18th)KAVVASAKI'S DISEASE (Mucocutaneous lymph node syndrome)* Cervical lymphadenopathy*** Cheilitis and thrombocytosis**** Polymorphous, morbilliform and scarlatiniform cutaneous eruption* Bilateral conjuctival injection* Erythema and edema of the hands and feet followed by desquamation* Diffuse erythema of the oropharynx red strawberry tongue, and dry fissured lips* The clinical picture resemble scarlet fever or Stevens- Johnson syndrome* Associated with Mycoplasma and HIV infection* Cardiovascular complication include transient coronary dilatation, myocarditis, pericarditis, MI, peripheral vascular insufficiency and gangreneTreatment of choice is gammaglobulin**